In which of the following conditions the level of creatinine kinase 1 increases
1. Myocardial ischemia
2. Brain Ischemia
3. Kidney damage
4. Electrical cardioversion

Correct answer: 2. Brain Ischemia